All are True regarding Meta-analysis except:
1. The validity does not depend on quality of systemic review
2. Its purpose is not to identify risk factors
3. Purpose is to increase statistical power by increasing the sample size
4. Statistical technique for combing the findings from several independent studies on special topic

Correct answer: 1. The validity does not depend on quality of systemic review

Explanation: Meta- analysis is analysis of multiple studies together. A meta- analysis uses a statistical approach to combine the results from multiple studies in an effort to increase power (over individual studies), improve estimates of the size of the effect and / or to resolve uncertainty when reports disagree. The validity does depend on quality of systemic review (rest all 3 options are true).